Marked reduction in the amount of dentin, widening of predentin layer, presence of large areas of interglobular dentin is a characteristic feature of
1. Dentinogenesis imperfecta
2. Amelogenesis imperfecta
3. Regional odontodysplasia
4. Osteogenesis imperfecta

Correct answer: 3. Regional odontodysplasia

Explanation: In ground sections, the thickness of the enamel varies, resulting in an irregular surface. The prism structure of the enamel is irregular or lacking, with a laminated appearance. The dentin contains clefts scattered through a mixture of interglobular dentin and amorphous material. Globular areas of poorly organized tubular dentin and scattered cellular inclusions often are seen. The pulp tissue contains free or attached stones that may exhibit tubules or consist of laminated calcification. The follicular tissue surrounding the crown may be enlarged and typically exhibits focal collections of basophilic enamel-like calcifications called enameloid conglomerates. This pattern of calcification is not specific for regional odontodysplasia and has been seen in other processes with disturbed enamel formation, such as amelogenesis imperfecta. Scattered islands of odontogenic epithelium and other patterns of intramural calcification also are seen.